Acute intermittent porphyria is precipitated by which of the following drug/s?
1. Chlorpropamide
2. Phenytoin
3. Griseofulvin
4. All the above

Correct answer: 4. All the above

Explanation: Ans. is 'd' i.e., All the above * Barbiturates* Griseofulvin* Chlorpropramide* Rifampicin* Oral contraceptives* Estrogen* Phenytoin* Sulfonamides SAFE drugs in Porphyria* Narcotic analgesics* Penicillin and derivatives* Glucocorticoids* Bromides* Aspirin* Streptomycin,* Insulin* Atropine,* Acetaminophen* Benzodiazepines* Muscle relaxants* Bupivacaine